The average intercondylar distance which is adequate for complete dentures is:
1. 110 mm
2. 120 mm
3. 115 mm
4. 140 mm

Correct answer: 1. 110 mm